In utero, the fetal human ovary has capacity to produce oestrogen by
1. 6 weeks
2. 8 weeks
3. 10 weeks
4. 12 weeks

Correct answer: 2. 8 weeks

Explanation: By 8 weeks, fetal human ovary has capacity to produce oestrogen.